Causes of reduced bioavailability of a drug includes
1. High first pass metabolism
2. Increased absorption
3. IV drug administration
4. High lipid solubility

Correct answer: 1. High first pass metabolism

Explanation: When the metabolism of a drug is high during its passage from the site of absorption into the systemic circulation, the rate, and extent of absorption of that drug decreases. absorption- amount of drug reaching the systemic circulation from the site of administration (Ref.Essentials of medical pharmacology TD Tripathi 7th edition page no.16,27)